Maximum amount of amniotic fluid is present at:
1. 30 weeks
2. 32-34 weeks
3. 40 weeks
4. 43 weeks

Correct answer: 2. 32-34 weeks

Explanation: Amniotic fluid measures: At 32-34 weeks it is maximum approx.1000ml At 36 weeks of gestation it is around 800ml At 40 weeks it comes down to 600 ml